Place of first liver transplant
1. Pittsburgh
2. Boston
3. Colarado
4. Cambridge

Correct answer: 3. Colarado

Explanation: Firat liver transplantation was done by Starzl in 1963, in Denver, University of Colorado Ref: Sabiston 20th edition Pgno : 637